A girl’s mandible radiograph shows soap bubble appearance of a lytic lesion. On aspiration, the lesion shows blood. Whirring sound is heard from the lesion, as if connected with the girl’s heart. The girl is also able to feel her heartbeat in the lesion. What should be the next investigation?
1. Non contrast CT
2. CT Angiography
3. CBCT
4. MRI

Correct answer: 2. CT Angiography

Explanation: Although CT-angiography may reveal an underlying arteriovenous malformation (AVM) or arteriovenous fistula (AVF), other vascular malformations are not easily evaluated on CT and are better seen on magnetic resonance imaging. For the evaluation of AVMs and AVFs, formal digital subtraction angiography remains the gold standard.